All the following are features of Endotoxins Except
1. Lipopolysaccharides
2. Proteins
3. Heat stable
4. No enzymic action

Correct answer: 2. Proteins

Explanation: Distinguishing features of exotoxins and endotoxinsExotoxinsEndotoxinsProteinsLipopolysaccharidesHeat-labileHeat StableActively secreted by cells; diffuse into surrounding mediumForm part of the cell wall; do not diffuse into surrounding mediumReadily separable from cultures by physical means such as filtrationObtained only by cell lysisAction often enzymicNo enzymatic actionSpecific pharmacological effect for each exotoxinEffect nonspecific; action common to all endotoxinsSpecific tissue affinitiesNo specific tissue affinityActive in very minute dosesActive only in very large dosesHighly antigenicWeakly antigenicAction specifically neutralized by antibodyNeutralisation by antibody ineffectiveRef: Ananthanarayan; 7th edition; Page no: 67